Monozygotic twins do not have same-
1. Fingerprints
2. Genetic make up
3. Facial appearance
4. Stature

Correct answer: 1. Fingerprints

Explanation: Ans. is "a' i.e., Fingerprints o Monozygotic twins are a result of the division of the single fertilized egg into two embryos. Thus, they have exactly identical DNA, except for the generally undetectable micromutations that begin as soon as the cell starts dividing.o Fingerprints of the identical twins start their development from the same DNA so they show considerable genetic similarity.o However identical twins are situated in different parts of the womb during development, so each fetus encounters slightly different intrauterine forces than their siblings.o As a result fingerprints of the identical twins have different microdetails which can be used for identification purposes.